The "Suture dominance theory" of craniofacial growth was given by
1. Moss
2. Sicher
3. Profit
4. Petrovic

Correct answer: 2. Sicher